All are autosomal recessive coagulopathies except
1. Bernad soulier syndrome
2. Glanzmann Thrombasthenia
3. Afibrinogenemia
4. Von Willebrand disease

Correct answer: 4. Von Willebrand disease

Explanation: Von Willebrand disease is a autosomal dominant condition.